In Pancoast tumor the following is seen except
1. Pain in shoulder and arm
2. Homer's syndrome
3. Rib erosion
4. Hemoptysis

Correct answer: 4. Hemoptysis

Explanation: Haemoptysis is seen in central tumors or endobronchial growth (Pancoast tumor is a peripheral tumor) Pancoast's tumor (also k/a superior sulcus tumor) Is a tumor of the apex of the lung It may grow to cause shoulder and arm pain - d/t involvement of C8, T1 & T2 nerves Erosion of ribs Homer's syndrome (Enopthalmos, Ptosis, Miosis & Ipsilateral loss of sweating) Ref : Harrison 17/e p554 (16/e p508)